True regarding excitation contraction coupling in smooth muscles is :
1. Presence of troponin is essential
2. Sustained contraction occurs with high calcium concentration
3. Phosphorylation of actin is required for contraction
4. Presence of cellular calcium is essential to cause muscle

Correct answer: 4. Presence of cellular calcium is essential to cause muscle

Explanation: D i.e. Presence of cellular calcium essential to cause muscle contraction